Adson test used for determining vascular sufficiency is useful in
1. Peripheral vascular disease
2. Cervical rib
3. Varicose veins
4. AV fistula

Correct answer: 2. Cervical rib

Explanation: SRB Manual of Surgery 4th edition, Pg 458 Adson's test :
The hand is raised above after feeling the radial pulse.
The patient is asked to take a deep breath and turn the same side. Any change in pulse, i.e. either becoming feeble or absent is noted. Adson's test is done in case of the Cervical rib. 
It is not useful in varicose veins, PVD or AV fistula.